In a Subclavian artery block at the outer border of 1st rib, all of the following arteries help in maintaining the circulation to upper limb exceptaEUR'
1. Subscapular artery
2. Superior thoracic
3. Thyrocervical trunk
4. Suprascapular artery

Correct answer: 2. Superior thoracic

Explanation: Superior thoracic [Ref: BDC 4/e, Vol. 1, p 56, 82; Snell's Clinical Anatomy 6/e, p A rich anastomoses exists around the scapula between branches of subclavian artery (first part) & the axillary artery (third part).This anastomoses provides a collateral circulation through which blood can flow to the limb when the distal part of subclavian artery or the proximal part of axillary artery is blocked.Anastomosis around the scapula: Formed by branches of?Subclavian artery - first part- Suprascapular artery- Deep branch of transverse cervical aeryAxillary artery - third part- Subscapular artery & its circumflex scapular branchThere are other smaller anastomoses over the acromion process, which also helps to maintain. flow to arm. (BDC Vol 1, 4/e, p 82)Anastomoses over the acromion process: Formed by -a)Acromial br. of thoraco-acromial arteryb)Acromial br. of suprascapular arteryc)Acromial br. of posterior circumflex humeral arteryThe subscapular artery also forms anastomoses with intercostal arteries.Review of branches of subclavian & axillary artery : Subclavian Artery (3 parts) The right subclavian artery arises from the brachiocephalic trunk, the left from the aortic arch. The scalenus anterior muscle divides it into 3 parts.Ist part- from origin to the medial border of the scalenus anterior muscle.IInd part- lies behind the scalenus anterior muscle.IIh-d part- from the lateral margin of scalenus anterior to the outer border of the first rib, where the artery becomes the axillary artery.Axillary artery is crossed by pectoralis minor muscle which divides it into three parts.